Punishment for the offence of rape under
1. 375 IPC
2. 376 IPC
3. 377 IPC
4. 378 IPC

Correct answer: 2. 376 IPC

Explanation: (376- IPC) (5.29- P)Law on Rape in India* Under section 375 IPC, rape is defined as unlawful sexual intercourse by a man with his wife under the age of 15years with any other woman under the age of 16years or above that age, against her will, with out her con cent or with her consent when it has been obtained by unlawful means* Section 376 IPC lays down the punishment for the offence of rape which may extendfrom seven years to life imprisonment and also fine* Section 228 IPC prohibits disclosure of the identity of the victim of rape* Under section 327 CrPC, the inquiry into and trial of rape or an offence under section 376 IPC shall be conducted in camera and it is not lawful for any person to print or publish any matter in relation to such proceeding except with the permission of the court